The fluoride ion concentration in aqueous solution of acidulated phosphate fluoride solution is-
1. 1.32%
2. 2.23%
3. 1.23%
4. 2.32%

Correct answer: 3. 1.23%

Explanation: An aqueous solution of acidulated phosphate fluoride is prepared by dissolving 20 grams of sodium fluoride in 1 liter of 0.1 M phosphoric acid and to this is added 50% hydrofluoric acid to adjust the pH at 3.0 and fluoride ion concentration at 1.23%. It is also called as Brudevold's solution.